Hysteroscopy is indicated in all of the following except:
1. Asherman syndrome
2. Infertility
3. Misplaced intrauterine devices
4. Active pelvic infection

Correct answer: 4. Active pelvic infection

Explanation: Ans. D: Active pelvic infection Genital tract infection is a contraindication to hysteroscopic therapeutic procedures